True statement for axial flap is:
1. Carries its own vessels within it
2. Kept in limb
3. Transverse flap
4. Carries its own nerve in it

Correct answer: 1. Carries its own vessels within it

Explanation: Ans. (a) Carries its own vessels within itRef: Sabiston 19th edition, Pages 1917-1919* Axial pattern flap: Based on a named blood vessel* Random flap: No named blood vessel. It survives based on the Subdermal plexus